Which does not indicate fetal lung maturity' -
1. Reactive NST
2. Gestation 37 weeks
3. Presence of phosphatidyl choline
4. L/S ratio

Correct answer: 1. Reactive NST

Explanation: Ans. is 'a' i.e., Reactive NST